Antemortem abrasions can be confused with -
1. Eczema
2. Ant bite marks
3. Chemical burn
4. Joule burn

Correct answer: 2. Ant bite marks

Explanation: The synopsis of forensic medicine & toxicology - Dr k.s.narayan reddy ;28th edition ; Pg no. 106 Erosion of skin produced by ants & excoriation of skin by excreta are differential diagnosis of antemortem abrasion .ants produce brown linear erosion with irregular margins of superficial layers of skin . mostly found in mucocutaneous junction ,about the eyelids ,nostrils ,mouth and genitalia ,moist folds of skin .vital reaction is not seen .